The severity of Mitral stenosis is clinically best decided by -
1. Length of diastolic murmur
2. Intensity of diastolic murmur
3. Loudness of first heart sound
4. Split of second heart sound

Correct answer: 1. Length of diastolic murmur